Which of the following is false about lymphatic drainage of tongue?
1. Tip drains into submental nodes
2. Midline of tongue has bilateral drainage
3. Root drains into lower deep cervical LNs
4. Middle portion drains into submandibular LNs

Correct answer: 3. Root drains into lower deep cervical LNs

Explanation: The tip of tongue drains into the submental lymph nodes.